Which worm causes myocarditis -
1. Trichuris
2. Trichinella
3. Enterobius
4. Strogyloides

Correct answer: 2. Trichinella

Explanation: Ans. is 'b' i.e., TrichinellaMajor causes of myocarditisInfectiousImmune - mediatedOtherso Viruses- Coxsackievirus. ECHO, HIV, CMV, influenza, measlesPost viralPost streptococcal (Rheumatic fever)SLETransplant rejectionDrug hypersensitivity (methyl dopa)SarcoidosisGiant cell myocarditisoChlamydiae (C. psittaci)o Rickettsiae (R. typhi)o Bacteria-Diphtheria, meningococcus, BorreliafLyme disease)o Fungio Protozoao Helminth- Candida- Trypanosoma (chagas dis). Toxoplasma- Trichinosis